Which one of the following fungus does NOT infect hair?
1. Epidermophyton
2. Microsporum
3. Trichophyton
4. Trichosporon

Correct answer: 1. Epidermophyton